All of the following drugs act on nucleic acids except
1. Fluroquinolones
2. Linezolide
3. Rifampicin
4. Nalidixic acid

Correct answer: 2. Linezolide

Explanation: Ref KDT 7th /689 Linezolide act by inhibiting cell wall synthesis whereas quinolone inhibit DNA gyrase and Rifampicin inhibit RNA polymerase